Fat embolism is commonly seen in:
1. Head injuries
2. Long bone fractures
3. Drowning
4. Hanging

Correct answer: 2. Long bone fractures